High Air velocity is measured by -
1. Psychrometer
2. Anemometer
3. Kata thermometer
4. Hygrameter

Correct answer: 2. Anemometer

Explanation: Ans. is 'b' i.e.. Anemometer